Iodine comes in iodine salt. Req uirm en t at production and consumer level respectively -
1. 20 & 10 PPNI
2. 30 & 10 PPM
3. 30& 15 PPM
4. 30 & 20 PPM

Correct answer: 3. 30& 15 PPM

Explanation: Ans. is "c' i.e., 30 & 15 PPM